The commonest cause of pathological fracture is generalized affection is:
1. Carcinoma
2. Osteoporosis
3. Cyst
4. All of the above

Correct answer: 2. Osteoporosis

Explanation: B i.e. Ostoporosis